Central Retinal artery occlusion is known to be associated with –
1. Panophthalmitis
2. Diabetic Retinopathy
3. CMV retinitis
4. Orbital mucormycosis

Correct answer: 4. Orbital mucormycosis

Explanation: Central Retinal Artery Occlusion (CRAO) is an established complication of orbital nzucornzycosis.